Palpation on the costovertebral angle produces pain and tenderness in acute adrenal insufficiency.This is
1. Rotch's sign
2. Rossolimo"s sign
3. Rogoff's sign
4. Osler's sign

Correct answer: 3. Rogoff's sign

Explanation: Costovertebral angle pain and tenderness in acute adrenal insufficiency is known as Rogoff's sign.